Most common cause of leptomeningeal spread is from which of the following
1. Breast
2. Thyroid
3. Bone
4. Liver

Correct answer: 1. Breast

Explanation: Leptomeningeal metastases, also know as carcinomatous meningitis, refers to the spread of malignant cells through the CSF space. These cells can originate from primary CNS tumors (e.g. This article has a focus on subarachnoid space involvement. Refer to extramedullary metastases for a discussion of leptomeningeal metastases in the spine. For other intracranial metastatic locations, please refer to the main article on metastases.